Sensory fibers from the taste buds in the hard and soft palate travel along -
1. Trigeminal nerve
2. Facial nerve
3. Glossopharyngeal nerve
4. Vagus nerve

Correct answer: 2. Facial nerve

Explanation: Taste sensations are contained in lesser palatine nerves. The fibers travel through greater petrosal nerve to geniculate ganglion of facial nerve and finally to nucleus of tracts solitarius.